The following is not an adhesion molecule?
1. Spectrin
2. Integrins
3. Selectins
4. Cadherin

Correct answer: 1. Spectrin

Explanation: Ans. (a) Spectrin(Ref: Robbins 9th/pg 75-76; 8th/pg 48-49)Families of CAMsIg (immunoglobulin) superfamilyIntegrinsCadherinsSelectins.